Which of the following is a function of mixed oxidase enzyme?
1. Incorporates H+
2. Incorporates 1 atoms of oxygen
3. Incorporates both atoms of oxygen
4. Incorporates nitrogen also

Correct answer: 2. Incorporates 1 atoms of oxygen

Explanation: It is a mixed function oxidase (mono-oxygenase). One molecule of O2 is needed in this reaction; out of which one atom is incorporated in the OH group and the other is reduced to water. This reaction also needs the electron carrier tetra- hydro-biopterin which is regenerated by the reduction of dihydro-biopterin by a reductase using NADPHRef: DM Vasudevan